Lathi can cause all of the following injuries, except:
1. Fissured fracture
2. Abrasion collar
3. Incised looking lacerated wound
4. All

Correct answer: 2. Abrasion collar

Explanation: Ans. Abrasion collar